In which of the following procedures sperms are aspirated from the testes?
1. ZIFT
2. GIFT
3. TESA
4. MESA

Correct answer: 3. TESA

Explanation: Aspiration of sperms from testes is done in Testicular sperm aspiration(TESA). In this technique, an aspiration needle is inserted percutaneously to the testis parenchyma to aspirate fluid or small pieces of seminiferous tubules to obtain sperm. Ref: Fertility Cryopreservation By Ri-Cheng Chian, Page 52-3; Fertility Preservation: Emerging Technologies and Clinical Applications By Emre Seli, page 305.